Which of the following increases uric acid excretion
1. Allopurinol
2. Aspirin
3. Colchicine
4. Probenecid

Correct answer: 4. Probenecid

Explanation: Probenecid is a uricosuric agent used in the treatment of chronic gout / hyperuricaemia . ref - Davidsons 23e pg1015-1016